51 yr female with abdominal mass & ascites. On H/P ovarian Ca is +ve for..
1. Ca 125
2. Ca19-9
3. AFP
4. hCG

Correct answer: 1. Ca 125

Explanation: Ans. is 'a' i.e., Ca 125 "Fertility preservation in early stage ovarian cancer the uterus and the contralateral ovary can be preserved in women with stage la, grade 1& 2 who desire to preserve fertility. The condition of the women should be monitored carefully with routine periodic pelvic examinations and determinations of serum CA 125 levels."